Which of the following cancers do not present with cervical lymphnode involvement?
1. Glottic Cancer
2. Subglottic Cancer
3. Papillary thyroid cancer
4. Oral cancer

Correct answer: 1. Glottic Cancer

Explanation: True vocal cords are devoid of lymphatic, hence less chance of cervical nodal metastasis Ref : HAZARIKA 3RD ED.